Kallu 2 yrs child weighing 6.7 Kg presents in the casualty with history of vomiting & diarrohea for last 2 days. On examination skin pinch over the ant. abdominal wall go quickly to its original position. Interpretation of skin - pinch test in this child will be-
1. No dehydration
2. Some dehydration
3. Sever dehydration
4. Skin pinch can not be evaluated in this child

Correct answer: 4. Skin pinch can not be evaluated in this child

Explanation: Ans. is 'd' i.e., Skin Pinch can't be evaluated in this child Frist step in assessing the skin pinch requires status of malnutrition of child as skin pinch is less useful in infants or children with Marasmus (severe wasting), Kwashiorker (Severe malnutrition with edema), Obese children Child in the given question is 2 yrs old with the expected weight being 10 kg. But patient weight 6.7Kg. and so he is certainly malnourished. Skin pinch in such a malnourished child will not be able to evaluate the status of the dehydration correctly. Assessment of Dehydration in patients with diarrhea Condition Well alert Restless irritable Lethargic or unconscious; floppy Eyes Normal Sunken Very sunken and dry Tears Present Absent Absent Mouth & tougue Moist Dry Very dry Thirst Drinks normally, not thirsty Thirsty, drinks eagerly Drinks poorly, or not able to drink Skin Pinch Goes back quickly Goes back slowly Goes back very slowly Decide The patient has No signs of Dehydration If the patient has two or more signs, including at least one sign, there is If the patient has two or more signs, including at least one signs, there is Severe Dehydration. Some Dehydration Treat Use Treatment Plan A Weight the patient, Treatment Plan B Weigh the patient and use Treatment Plan C Urgently